All of the following are features of cost accounting except:
1. Data on cost of a programme is provided
2. Control of cost can be done
3. Benefits are expressed in terms of money
4. Planning and allocation of peoples and financial services can be done

Correct answer: 3. Benefits are expressed in terms of money

Explanation: Ans. C: Benefits are expressed in terms of money Cost accounting establishes budget and actual cost of operations, processes, departments or product and the analysis of variances, profitability or social use of funds. Managers use cost accounting to support decision-making to cut a company's costs and improve profitability.